Entropion is
1. Inversion of eyelid
2. Inversion of eyelashes
3. Eversion of eyelid
4. Eversion of eyelashes

Correct answer: 1. Inversion of eyelid

Explanation: Entropion is a condition in which the lower eyelid turns inward, rubbing against the eye. Entropion occurs most commonly as a result of aging. Infection and scarring inside the eyelid are other causes of entropion.